A 10 year old child is having a mental age of 4. He is:
1. Idiot
2. Normal
3. Imbecile
4. Moron

Correct answer: 3. Imbecile

Explanation: Ans. C i.e. Imbecile IQ of such a case would be: 4 X 100/10 = 40 Level of intelligence & IQ range Idiot: 0-24 Imbecile: 25-49 Moron: 50-69 Borderline: 70-79 Low normal: 80-89 Normal: 90-109 Superior: 110-119 Very superior: 120-139 Near genius: 140 and over